Demographic Gap attains its maximum limit in
1. Early stage I
2. Late stage II
3. Late stage III
4. Early stage IV

Correct answer: 2. Late stage II

Explanation: Demographic cycle Demographic cycle is closely related to : Socio-economic progress of a country There are 5 stages (Phases) of demographic cycle through which a nation passes Stages Phases CBR CDR Stage I High Stationary High high Stage II Early expanding High Starts declining Stage III Late expanding Starts declining Continue declining Stage IV Low Stationary Low Low Stage V Declining CDR > CBR Demographic cycle is based on : Demographic gap DG = Crude Birth Rate (CBR) - Crude death rate DG starts increasing : Early stage II (Early expanding phase) DG is Maximum : Late stage II (Early expanding phase) DG starts declining : Early stage III (Late expanding PHASE) DG is negative : Stage V (Declining phase) DG is Narrow : Stage I (high Stationary) ; Stage IV (Low Stationary) Ref: Foundations of community Medicine, GM Dhaarb& I Robbani, 1st edition Park 25th edition Pgno : 530